Radioprotective drug(s) is/are :
1. Amifostine
2. Cyclophosphamide
3. Methotrexate
4. Paditaxe!

Correct answer: 1. Amifostine

Explanation: Ans: A (Amifostine) Radio Protective DrugsAmifostine (VVR 2721} has free SH group which scavenge the free radicals produced due to radio therapy.Free radical scavenger agents such as sulphydryl - containing compounds tend to make cells more resistant. They have also been shown to reduce chromosome abnormalities associated with radiation. This suggests a potential use in reducing treatment induced cancers. The thiol containing drug amifostine (WR 2721) is the best studied drug of this type. Randomized trial has shown that amifostine reduce treatment related toxicities, including radiation induced parotid damage (xerostmia) & dsplatin induced nephrotoxicity' - Devita 7th/ 275Also used for reducing S/E of radiomimeticdrug (dsplatin)Antiradiation agent for astonanats.Radioprotective agents are -* Amifostine (WR 2721)* IL-1* Zinc Oxide* GM-CSF* Pentoxyphyiline* Etramustine* Chlorhexidine* KI* Melatonin* Antioxidant (vit C, E, A)Factors | RadiosensitivityHypoxic environmentSlow or no divisionS-phase of cell cycleRadiation protectors (Amifostine)Chemotherapeutic agents are radiosensitizer not radioprotecter